The phenomenon of suspended animation may be seen in -
1. Throttling
2. Drowning
3. Strangulation
4. Brain hemorrhage

Correct answer: 2. Drowning

Explanation: Suspended animation may be seen in electrocution, drowning, cholera, after anesthesia, shock, sunstroke, cerebral concussion, narcotic poisoning, new born infants and yogis/voluntary.